Management of 4 cm size renal staghorn calculus.
1. Extracorporeal shock wave lithotripsy (ESWL)
2. Percutaneous nephrolithotomy (PCNL)
3. Pyeloplasty
4. Open pyelolithotomy

Correct answer: 2. Percutaneous nephrolithotomy (PCNL)

Explanation: ANS. B* Management of renal calculi* Stones <6 mm--conservative treatment* Stones from 6 mm to 2 cm: ESWL* Stones >2 cm: PCNL* For stones at lower renal calyx: Do PCNL* For staghorn calculi: ESWL+PCNL (Sandwich technique)Shapes of urinary stonesLeucine stones--spherical-shapedTyrosine stones--needle-shaped